Post-mortem purge is associated with the following:
1. Hypostasis
2. Rigor mortis
3. Post mortem lividity
4. Putrefaction

Correct answer: 4. Putrefaction

Explanation: During putrefaction, discoloured natural fluids and liquified tissues are made frothy by gas. Due to the presence of gas in the abdomen, the diaphragm is forced upwards compressing the lungs and heart, and blood stained froth exudes from the mouth and nostrils which is known as post-partum purge. Ref: The Essentials of Forensic Medicine and Toxicology by K S Narayan Reddy, 27th edition, Page 146.